Cognitive model of depression was given by:
1. Beck
2. Skinner
3. Cerletti
4. Freud

Correct answer: 1. Beck

Explanation: The cognitive model of depression evolved from systematic clinical observation and experimental testing by Beck. The cognitive model postulates three specific concepts to explain the psychological substrate of depression The cognitive triad Schemas Cognitive errors Ref: Cognitive Therapy of Depression edited by Aaron T. Beck.